A 45–year–old male, Sanjeev was brought to the emergency with severe agitation and aggressive behavior. He was started on haloperidol and the patient became responsive and cooperative. After 8 days of treatment, he developed high-grade fever, diarrhea, confusion, and muscle rigidity. Which of the following should be used for the treatment of this condition?
1. Diazepam
2. Benzhexol
3. Dantrolene
4. High dose of haloperidol

Correct answer: 3. Dantrolene